The treatment of congenital glaucoma is –
1. Essentially topical medications
2. Trabeculoplasty
3. Trabeculotomy with trabeculectomy
4. Cyclocryotherapy

Correct answer: 3. Trabeculotomy with trabeculectomy

Explanation: "Primary combined trabeculotomy and trabeculectomy is safe, effective and sufficiently predictable to be considered the first choice of surgical treatment in primary congenital glaucoma ". — Pediatric glaucoma

Remember following facts about congenital glaucoma


Treatment of choice is comination of trabeculectomy with trabeculotomy.
Goniotomy and trabeculotomy have been the traditional choice for congenital glaucoma and most commonly used procedures.